Most sensitive test for detection of argemone oil?
1. Nitric acid test
2. Paper chromatography
3. Phosphatase test
4. Methylene blue test

Correct answer: 2. Paper chromatography

Explanation: Ans. is 'b' i.e., Paper chromatography o Paper chromatography is the most sensitive test. o Note : In previous question, paper chromatography was not there in options, therefore the answer was nitric acid test.